All of the following cause microcytic hypochromic anemia,except?
1. Lead poisoning
2. Thalassemia
3. Iron deficiency
4. Fanconi's anemia

Correct answer: 4. Fanconi's anemia

Explanation: Fanconi's Anemia does not cause microcytic hypochromic anemia. The causes of microcytic hypochromic anemia are: S= Sideroblastic Anemia I= Iron deficiency Anemia T= Thalassemia A= Anemia of chronic disease